Order of increasing polarity: A. Alanine B. Valine C. Glycine D. Isoleucine
1. D- B- A-C
2. B- C- A-D
3. A- D- C-B
4. D-A- B-C

Correct answer: 1. D- B- A-C

Explanation: All aliphatic amino acids i.e. Glycine, Alanine, Valine, Leucine and Isoleucine are non-polar. Isoleucine is most non polar, followed by valine. Glycine is least non-polar out of all aliphatic amino acids.